Redman syndrome is side effect of:
1. Rifampicin
2. Vancomycin
3. Chloramphenicol
4. Tetracycline

Correct answer: 2. Vancomycin